Movement of protein from nucleus to cytoplasm can be seen by:
1. FISH
2. FRAP
3. Confocal microscopy
4. DNA microscopy

Correct answer: 2. FRAP

Explanation: Ans. B. FRAPFRA Pisa technique used to study Fluid mosaic model of cell membrane, movement of proteins etc.FRAP is fluorescence recovery after photobleachingThe techniqueFlourescent dyes emit coloured light when it is illuminated, but if a very high intensity light is used then the sedyes are unable to fluorescence. Otherwise called photo bleached. Later it recover fluorescenceThis recovery after photobleaching is used to study movement of proteins lipids carbohydrates, etc.